Gene for Wilms tumor is located on-
1. Chromosome 11
2. Chromosome 1
3. Chromosome10
4. Chromosome12

Correct answer: 1. Chromosome 11

Explanation: Mutations of the WT1 gene on chromosome 11p13 are observed in approximately 20% of Wilms tumors.
At least half of the Wilms tumors with mutations in WT1 also carry mutations in CTNNB1, the gene encoding the proto-oncogene beta-catenin.